Through what "permissive action" do glucocorticoids accelerate gluconeogenesis during fasting
1. Glucocorticoids stimulate the secretion of insulin, which activates gluconeogenic enzymes in the liver
2. Glucocorticoids inhibit the use of glucose by skeletal muscle
3. Glucocorticoids maintain the vascular response to norepinephrine
4. Glucocorticoids maintain the intracellular concentrations of many of the enzymes needed to carry out gluconeogenesis through effects on transcription

Correct answer: 4. Glucocorticoids maintain the intracellular concentrations of many of the enzymes needed to carry out gluconeogenesis through effects on transcription